Femoral triangle base is formed by:
1. Medial border of sartorius
2. Inguinal ligament
3. Medial border of adductor longus
4. Iliacus

Correct answer: 2. Inguinal ligament

Explanation: Ans. B Inguinal ligamentRef: Gray's Basic Anatomy E-book, P 280FEMORAL TRIANGLEA triangular depressed area situated in the upper part of the medial aspect of the thigh just below the inguinal ligmanent.BOUNDARIESSuperiorly (base): The inguinal ligamentLaterally: Medial border of sartoriusMedially: Medial border of adductor longusApex: Continuous with adductor canalAnterior wall: Fascia lataPosterior wall: Consists of iliopsoas, pectineus and adductor longus from lateral to medial side.